To maximize fertility potential, orchidopexy for cryptorchidism should be done before:
1. 15 years of age
2. 12 years of age
3. 18 years of age
4. 2 years of age

Correct answer: 4. 2 years of age

Explanation: Testes are exquisitely sensitive to temperature; therefore there is progressive deterioration of testes that are not within the scrotum. Cryptorchid testes Whether they are in inguinal canal, in intra-abdominal position, or in ectopic position, will undergo progressive spermatogenic failure, although adequate amounts of androgens may be produced & secreted. Timing of orchidopexy has been moved progressively backward, and now the recommendation is that orchidopexy should be accomplished before age 2 years, to maximize possibility of production of spermatozoa of normal quantity and quality. In cases of unilateral cryptorchidism ;matter of surgical exploration is less critical; however, to provide maximum potential for both testes, the earlier cryptorchidism is surgically corrected ;the better are chances for normal spermatogenesis.